All are true about Entamoeba Histolytica except ?
1. Cyst are 8 nucleated
2. Cyst are 4 nucleated
3. Trophozoites colonise in the colon
4. All

Correct answer: 1. Cyst are 8 nucleated

Explanation: Ans. is 'a' i.e., Cyst are 8 nucleated . Cyst of E. histolytical is quadrinucleate (4 nuclei) . Chromatid bodies do not stain with iodine but are seen as refractile oblong bars with rounded ends in preprations with normal saline and as black when stained with iron-haematoxylin. . Trophozoites colonize cecum and ascending colon, sigmoid colon, rectum and appendix in order of frequency.